'a' wave in JVP Indicates
1. Right atrial contraction
2. Closure of tricuspid valve
3. Onset of ventricular systole
4. Maximal atrial filling

Correct answer: 1. Right atrial contraction

Explanation: (a) Right atrial contractionRef: Harrison, 18th ed.,pg. 1823, fig. 227-1Graph of height of JVP with timeThe upward deflections are the"a" atrial contraction"c" ventricular contraction and resulting bulging of tricuspid into the right atrium during isovolumetric systole)"v" = venous fillingThe downward deflections of the wave are the"x" the atrium relaxes, and the tricuspid valve moves downwardthe "y" descent filling of ventricle after tricuspid opening.